The level of circula ng 1,25- dihydroxycholecalciferol is significantly reduced in patients with chronic liver disease because
1. The liver can no longer efficiently convert 25-hydroxycholecalciferol to 1,25-dihydroxycholecalciferol
2. The liver can no longer efficiently convert vitamin D to cholecalciferol
3. The liver can no longer efficiently convert vitamin D to 25- hydroxycholecalciferol
4. The liver can no longer efficiently convert cholecalciferol to 1,25-dihydroxycholecalciferol

Correct answer: 3. The liver can no longer efficiently convert vitamin D to 25- hydroxycholecalciferol

Explanation: A healthy liver converts vitamin D (cholecalciferol) to form 25-hydroxycholecalciferol, but a diseased liver has a reduced capacity to do so. The kidney, not the liver, is responsible for the conversion of 25 hydroxycholecalciferol to 1,25-dihydroxycholecalciferol. Vitamin D, not 1,25-hydroxycholecalciferol, is absorbed by the small intestine.